Selective grinding for equilibrating complete dentures is best accomplished after processing when the dentures are:
1. Rearticulated using original jaw relation record
2. Rearticulated with a new series of jaw relation
3. Equilibrated in the patients mouth
4. Spot ground in the patients mouth

Correct answer: 2. Rearticulated with a new series of jaw relation